All of the following are causes of primary amenorrhoea with eugonadism, EXCEPT:
1. GnRH deficiency
2. PCOS
3. Mullerian agenesis
4. Congenital adrenal hyperplasia

Correct answer: 1. GnRH deficiency

Explanation: GnRH deficiency is cause of primary amenorrhoea with low FSH levels. Causes of primary amenorrhea with eugonadism: Mullerian agenesis Vaginal septum Imperforate hymen Androgen insensitivity syndrome PCOS Congenital adrenal hyperplasia Cushing and thyroid disease Ref: Hoffman B.L., Schorge J.O., Schaffer J.I., Halvorson L.M., Bradshaw K.D., Cunningham F.G., Calver L.E. (2012). Chapter 16. Amenorrhea. In B.L. Hoffman, J.O. Schorge, J.I. Schaffer, L.M. Halvorson, K.D. Bradshaw, F.G. Cunningham, L.E. Calver (Eds), Williams Gynecology, 2e.